Most appropriate time for breast self-examination is?
1. A week after menstruation starts
2. Before ovulation
3. During menstruation
4. A day after menstruation ends

Correct answer: 1. A week after menstruation starts

Explanation: A week after menstruation starts REF: A Woman's Breast Self-Exam Journal by Susan Mendelsohn page 21, Human Sexuality by Masters Page 59, American Medical Association family medical guide Breast self-examination (BSE) Breast self-examination is to be performed by all women above 18 years throughout their life. It should be performed every month at the same time of menstrual cycle For pre-menopausal women: The best time is right after the menstrual cycle ends (7-10 days after menstrual cycle starts) as at this time the breasts are less swollen and less tender as estrogen levels are low. For post-menopausal women: BSE at any specific date can be selected for each month For women on HRT: BSE to be done after finishing each cycle of HRT. For women on OCP: BSE should be performed with the start of new pill pack each month